Which of the following is not a prokinetic?
1. 5HT4 agonist
2. D2 blocker
3. Macrolides
4. Diphenoxymethane

Correct answer: 4. Diphenoxymethane

Explanation: Prokinetic drugs. - These are drugs which promote gastrointestinal transit and speed gastric emptying by propulsive motility.D2blocker example Domperidone. 5HT4 agonistexample cisapride. Metoclopramide. Macrolidesacts on motilin receptor. Hence, Diphenoxymethane is the answer.